Which one of the following for management of Enuresis has least chances of relapse?
1. Oxybutynin
2. Desmopressin
3. Bed Alarm
4. Imipramine

Correct answer: 3. Bed Alarm